Leading cause of hyperkalemia is?
1. Redistribution of potassium
2. Reduced excretion kidney
3. Adrenal neurohormonal surge
4. Drugs

Correct answer: 2. Reduced excretion kidney

Explanation: Kidney diseases are leading cause of Hyperkalemia